All are relatively normal in Korsakoff's psychosis except :
1. Implicit memory
2. Intelligence
3. Language
4. Learning

Correct answer: 4. Learning

Explanation: New learning is severely impaired because of severe anterograde amnesia.
General intelligence, language & motor skills are not impaired.
Implicit type of long - term memory is relatively spared.